Most commonly utilized Intercostal Space for Pericardiocentesis is:
1. Left 5th Intercostal Space
2. Left 6th Intercostal Space
3. Right 5th Intercostal Space
4. Right 6th Intercostal Space

Correct answer: 1. Left 5th Intercostal Space

Explanation: Answer is A (Left 5th Intercostal Space) Left Fifth Intercostal Space is the most commonly utilized space fir Parasternal Pericardiocentesis `There are various sites for aspiration but the two commonest sites used are the sub-xiphoid and the left fifth intercostal space. The sub-xiphoid approach is the much preferred route, as one can aspirate fluid even in the case of small effusions. This route is extra-pleural and avoids the coronary, pericardial, and internal mammary arteries.